Antiendomysial antibody is use in the diagnosis of-
1. Tropical spure
2. Whipples disease
3. Celiac sprue
4. Ulcerative colitis

Correct answer: 3. Celiac sprue

Explanation: This test looks for certain antibodies in your blood that may mean you have celiac disease, an autoimmune disease. If you have celiac disease, your immune system responds abnormally to a protein called gluten. ... Your body makes antibodies to the gluten called endomysial antibodies (EMA). Ref Davidson edition23rd pg 806